Mrs. X, 25years old with a history of 2 previous pregnancies, and now 28weeks of gestation her gravidity is
1. Nulligravida
2. G1
3. G2
4. G3

Correct answer: 4. G3

Explanation: Nulligravida: a woman who currently is not pregnant and has never been pregnant.Gravida: a woman who currently is pregnant or has been in the past, irrespective of the pregnancy outcome. With the establishment of the first pregnancy, she becomes a primigravida, and with successive pregnancies, a multigravida.Reference: William's obstetrics; 25th edition